Preferential expression of same gene depending on parent of origin is referred to as:
1. Genomic imprinting
2. Mosaicism
3. Anticipation
4. Non-penetrance

Correct answer: 1. Genomic imprinting

Explanation: Genomic imprinting Phenomenon that leads to preferential expression of an allele depending on its, parental origin. Eg : Beckwith Wiedemann syndrome (have two paternal but no maternal copies of chromosome 11). Albright's hereditary osteodystrophy (short stature, brachydactyly and PTH resistance).